The MOST common site of Osteomas amongst the paranasal sinuses is?
1. Maxillary
2. Frontal
3. Ethmoidal
4. Sphenoidal

Correct answer: 2. Frontal

Explanation: Osteoma is the most common benign tumor of the paranasal sinuses. The frontal sinus is the most common site of osteoma formation. It is associated with Gardner syndrome when multiple facial osteomas are found.